Indirect ophthalmoscopy is done for
1. Central retina
2. Periphery of retina
3. Sclera
4. Angle of anterior chamber

Correct answer: 2. Periphery of retina

Explanation: Applications: Indirect ophthalmoscopy is essential for the assessment and management of retinal detachment and other peripheral retinal lesions. It allows 3 D stereoscopic view of the lesion . It also depicts the presence of shifting fluid,which is pathognomic of exudative retinal detachment. Reference : A K KHURANA Comprehensive Ophthalmology edition 4; page-567